Agoraphobia commonly occurs with
1. Bipolar affective disorder
2. Schizophrenia
3. Panic attacks
4. Depression

Correct answer: 3. Panic attacks

Explanation: (C) Panic attacks # Agoraphobia is an anxiety disorder characterized by anxiety in situations where the sufferer perceives certain environments as dangerous or uncomfortable, often due to the environment's vast openness or crowdedness.> These situations include wide-open spaces, as well as uncontrollable social situations such as the possibility of being met in shopping malls, airports and on bridges.> Agoraphobia is defined within the DSM-IV TR as a subset of panic disorder, involving the fear of incurring a panic attack in those environments. In the DSM-5, however, agoraphobia is classified as being separate from panic disorder.> The sufferer may go to great lengths to avoid those situations, in severe cases becoming unable to leave their home or safe haven.